Moure's sign can be detected in
1. Nasopharyngeal carcinoma
2. Oropharyngeal carcinoma
3. Postcricoid carcinoma
4. Supraglottic carcinoma

Correct answer: 3. Postcricoid carcinoma

Explanation: Moure`s sign- Absence of Laryngeal click or crepitusClassical sign in post-cricoid malignancy.Bocca`s sign - is also an absence of post-cricoid click or crackle in cricoid malignancy.Ref: Hazarika; 3rd ed; Pg 534